Cardiac index is defined as
1. Stroke volume M2/BSA
2. Cardiac output per minute per unit body surface area
3. Systolic pressure/M2 BSA
4. End diastolic volume

Correct answer: 2. Cardiac output per minute per unit body surface area

Explanation: Cardiac index- Cardiac output per minute per square meter of body surface area. Normal- 3.2L/min/ m2.